Haldane effect is
1. Binding of O2 to Hb favors release of Co2
2. Binding of CO2 to Hb favors release of O2
3. Important mechanism of O2 transport in body
4. All of the above

Correct answer: 1. Binding of O2 to Hb favors release of Co2

Explanation: Binding of oxygen with hemoglobin tends to displace carbon dioxide from the blood. This effect is known as the Haldane effect and it is important in promoting CO2 transport.Binding of CO2 to hemoglobin favors release of O2. This is known as the Bohr effect and is an important factor in increasing oxygen transport.Ref: Guyton and Hall textbook of medical physiology,12th edition(South Asia), page: 361